The macrophage in the brain is -
1. Schwann cells
2. Oligodendrocytes
3. Astrocytes
4. Microglia

Correct answer: 4. Microglia